Red Color on color doppler suggests?
1. Arterial Blood
2. Venous Blood
3. Flow towards the transducer
4. Flow Away from the transducer

Correct answer: 3. Flow towards the transducer

Explanation: Color Doppler Imaging: Doppler imaging illustrates only the direction of flow, color coded mean velocities and the range of the mean velocities. Blood flowing towards the ultrasound transducer is conventionally depicted in a band of colors ranging from deep red (low velocity) to bright yellow (high velocity). Flow in direction away from the transducer is indicated by band of colors ranging progressively from deep blue (low velocity) to cyan (high velocity).